A woman with 18 weeks gestation presented to the OPD. On abdominal examination, the uterine size was 16 weeks. On USG, oligohydramnios was found, which of the following is suspected.
1. Renal agenesis
2. Fetal anemia
3. Jaundice
4. Anencephaly

Correct answer: 1. Renal agenesis

Explanation: Oligohydramnios can be caused by - Renal agenesis Uteroplacental insufficiency: IUGR ACE inhibitors Premature rupture of membranes Amniocentesis (leak) Pre-ecclampsia Amnion nodosum NSAIDs Post term pregnancy Over estimated gestational age